Anti-cholinesterases are ineffective against:
1. Belladona poisoning
2. Carbamate Poisoning
3. Postoperative ileus
4. Cobra bite

Correct answer: 2. Carbamate Poisoning

Explanation: Ref:KD Tripathi pharmacology 7th edition (page.no: 110,105) Carbamate is irreversible anticholinesterase. so, anticholinesterases are ineffective against carbamate poisoning. Uses of anticholinesterases - Miotic, Myasthenia gravis, Postoperative paralytic ileus, Cobra bite, Belladonna poisoning, Alzheimer's disease